The glabella may show the remains of the
1. Anterior fontanel
2. Posterior fontanel
3. Metopic suture
4. Lambdoid suture

Correct answer: 3. Metopic suture

Explanation: Metopic suture is occasionally present in about 3-8% individuals. It lies in the median plane and separates the two halves of the frontal bone. Normally it fuses at 6 years of age. Ref BDC volume 3,sixth edition pg 5